All are seen in Pheochromocytoma EXCEPT:
1. Headaches
2. Weight loss
3. Sweating attacks
4. Hypocalcemia

Correct answer: 4. Hypocalcemia

Explanation: ANSWER: (D) HypocalcemiaREF: Harrison's Internal Medicine > Chapter 337 Pheochromocytoma Table 337-1 Repeat in December 2009 (surgery), December 2011Pheochromocytomas and paragangliomas are catecholamine-producing tumors derived from the sympathetic or parasympathetic nervous system. These tumors may arise sporadically or be inherited as features of multiple endocrine neoplasia type 2.The "rule of tens" for pheochromocytomas states that about 10% are bilateral, 10% are extraadrenal, and 10% are malignant. However, these percentages are higher in the inherited syndromes.The clinical presentation is so variable that Pheochromocytoma has been termed "the great masquerader". The dominant sign is hypertension. Classically, patients have episodic hypertension, but sustained hypertension is also frequent.CLINICAL FEATURES ASSOCIATED WITH PHEOCHROMOCYTOMAHeadachesSweating attacksPalpitation and tachycardiaHypertension, sustained or paroxysmalAnxiety and panic attacksPallorNauseaAbdominal pain WeaknessWeight lossParadoxical response to antihypertensive drugsPolyuria and polydipsiaConstipationOrthostatic hypotensionDilated cardiomyopathyErythrocytosisElevated blood sugarHypercalcemia